All are subjective tests for audiometry except:
1. Tone decay
2. Impedance audiometry
3. Speech audiometry
4. Pure tone audiometry

Correct answer: 2. Impedance audiometry

Explanation: (b) Impedance audiometry(Ref. Scott Brown, 6th ed., Vol 2; 2/12/1)Impedance audiometry is an objective test. It does not require the cooperation of patient.Other objective audiometry tests are; OAEs, Electrocochleography and BERA